Investigation of choice for bronchiectasis is:
1. Chest X-ray
2. MRI
3. CT scan
4. V-P scan

Correct answer: 3. CT scan

Explanation: Ans. C: CT Scan High Resolution Computed Tomography (HRCT) is the investigation of choice for the diagnosis of bronchiectasis. It shows dilated bronchi adjacent to vascular structure forming a signet ring shape. The diameter of the lumen of the bronchi is characteristically larger than that of the vascular structure. The dilatation of proximal airways alone may indicate the possibility of allergic bronchopulmonary aspergillosis. Dilated bronchi with multiple small parenchymal nodules point towards possible infection with Mycobacterium avium complex.